No of inpatient beds in PHC ?
1. 6
2. 10
3. 20
4. 25

Correct answer: 1. 6

Explanation: Medical care OPD services- 4 hours in the morning and 2 hours in the afternoon/evening 24 hour emergency services Referral services Inpatient services-6 beds (refer pgno:905 park 23rd edition)